Following an oral surgical procedure, the surgical site is covered with a gauze wetted with saline because
1. Saline promotes local haemostasis at the site
2. Saline decreases the tendency of the clot to get embedded in gauze mesh
3. Saline has localized anti-inflammatory action
4. Saline accelerates the healing of the wound

Correct answer: 2. Saline decreases the tendency of the clot to get embedded in gauze mesh